Temperature for brazing is
1. 250°
2. 250-350°
3. 350-450°
4. > 450°

Correct answer: 4. > 450°